Most common translocation in follicular lymphomas.
1. 14 << 18
2. 17 << 19
3. 11<<14
4. 22<

Correct answer: 1. 14 << 18

Explanation: Ans. is 'a' i.e., 14 : 18 o The hallmark of typical follicular lymphoma is a 14 : 18 translocation that juxtaposes the IgH locus on chromosome 14 and the BCL2 locus on chromosome 18.